Horner tranta's spot is seen in?
1. Trachoma
2. Phlectenular Keratoconjunctivitis
3. Vernal Keratoconjunctivitis
4. Giant Papillary conjunctivitis

Correct answer: 3. Vernal Keratoconjunctivitis

Explanation: ANSWER: (C) Vernal conjunctivitisREF: Khurana 4th ed p.451, Yanoff & Ducker- ophthalmology 2ad edition page 407 Repeat from December 2010A characteristic manifestation of limbal vernal conjunctivitis is the presence of Horner-Trantas dots, which are white, chalk-like dots composed of eosinophils and epithelial debris.